Monoclonal antibody against VEGF is:
1. Epratuzumab
2. Toclizumab
3. Bevacuzimab
4. Cetuximab

Correct answer: 3. Bevacuzimab

Explanation: Bevacuzimab